Spanish windlass is an example of:
1. Bansdola
2. Garrotting
3. Throttling
4. Mugging

Correct answer: 2. Garrotting

Explanation: In garrotting a ligature is thrown over the neck of the victim and is quickly tightened by twisting it with a lever which results in sudden loss of consciousness and collapse. In Spanish windlass an iron collar around the neck is tightened by a screw for strangling. Garroting as a mode of execution was once employed in spain. Ref: The Essentials of Forensic Medicine and Toxicology 29th Ed Page 315.